Rideal-Walker coefficient is related with -
1. Disinfecting power
2. Parasitic clearance
3. Dietary requirement
4. Statistical correlation

Correct answer: 1. Disinfecting power

Explanation: Ans. is 'a' i.e., Disinfecting power Determining the efficiency of a disinfectants1. Rideal walker test* Phenol is taken as the standard -> Phenol coefficient2. Chick martin test